Myosin and actin filaments are kept in place by
1. Tropomyosin
2. Troponin
3. Actinin
4. Titin

Correct answer: 4. Titin

Explanation: Titin keeps actin and myosin in place It povides elasticity It is present in skeletal and cardic muscles Ref:Guyton and Hall textbook of medical physiology 12th edition ,pag number:85,86,87